Munsen sign is seen in:
1. Corneal dystrophy
2. Perforated corneal ulcer
3. Keratoconus
4. Marfan syndrome

Correct answer: 3. Keratoconus

Explanation: Ans. C i.e. Keratoconus Keratoconus Protrusion of central part of cornea with thinning, Corneal nerves are visible, Associated features: - Munsen's sign, - Fleischer sign